Which of the following medications should be used for pheochromocytoma associated hypertension after phenoxybenzamine is started?
1. Amlodipine
2. Propranolol
3. Nifedipine
4. Diltiazem

Correct answer: 2. Propranolol

Explanation: Option B- in order to control tremors and palpitation complaints in the patient For Pheochromocytoma : (a+b) =Ideal management recommended protocol (b+a) = C/I